Hemorrhagic colitis is caused by which strain of E. coli-
1. Enteropathogenic
2. Enterotoxigenic
3. Enteroinvasive
4. Enterohemorrhagic

Correct answer: 4. Enterohemorrhagic

Explanation: Ans. is 'd' i.e., Enterohemorrhagic * O 157: H7 is the most prominent serotype of EHEC, associated with HUS, but 06,026,055,091,0103,0111,0113 and OX3 have also been associated with this syndrome.Specific diseases caused by different pathotypes* Enteropathogenic E coli (EPEC)-Watery diarrhea in Infants and children* Entero toxigenic E. coli (ETEC)-Travellers diarrhea and me cause of diarrhea in children of developing countries.* Entero invasive E. coli (EIEC)-Diarrhea to dysentry similar to shigellosis* Enterohemorrhagic E. coli (EHEC)-Hemolytic uremic syndrome, Hemorrhagic colitis* Enteroaggregative E.coli-Persistant diarrhea* Extraintestinal pathogenic strains-UTI, Abdominal & pelvic infections, meningitis, Septicemia.